Drugs causing pyridoxine deficiency are the following except
1. Hydralazine
2. Griseofulvin
3. Cycloserine
4. Penicillamine

Correct answer: 2. Griseofulvin